Which of the following is an example for mature defense mechanism?
1. Intellectualization
2. Dissociation
3. Displacement
4. Suppression

Correct answer: 4. Suppression

Explanation: Suppression is a mature defense mechanism where a person voluntarily makes decision to not to think about an distressful event and accompanying emotions.